All of the following drugs may cause Hirsuitism, except-
1. Danazol
2. Phenytoin
3. Norethisterone
4. Flutamide

Correct answer: 4. Flutamide

Explanation: Ans. is `d' i.e., Flutamide Drugs causing Hirusitism Androgenic drugs o Acetazolamide o Testosterone o Anabolic steroids o Danazole o Androgenic progestins o Corticotropin (Norethisterone) o Metyrapone o Dihydroepiandrosterone Non - androgenic drugs o Phenytoin o Penicillamine o Triamterene - hydrochlorthiazide o Cyclosporine o Minoxidil o Penicillamine o Phenothiazines